Which of the 5HT1 agonist drug act as anxiolytic agent
1. Diazepam
2. Zolpedem
3. Cinnarizine
4. Buspirone

Correct answer: 4. Buspirone

Explanation: 5HT1a Receptor Agonist Buspirone - For Anxiety (Note: Bupropion is antidepressant which is used as antismoking drug) 5HT 1B/1D Receptor agonist Triptans Sumatriptan Naratriptan - Triptans are drug of choice for acute severe migraine. 5HT2 Receptor Antagonist - 5 HT2A/2C antagonist are used as anti-psychotics like: clozapine 5HT3 Receptor Antagonist - Drugs used are Ondansetron like drugs. These are DOC for chemotherapy induced vomiting 5HT4 Receptor Agonist: Drugs like cisapride, mosapride are prokinetic drugs used for GERD